If FADH2 provides reducing equivalents to electron transport chain then ATP formed will be ?
1. 1.5
2. 2.5
3. 3.5
4. 4.5

Correct answer: 1. 1.5

Explanation: Ans. is 'a' i.e., 1.5 ATP generation by oxidation ofPresently acceptedOld valuesNADH2.53FADH,1.52Glucose3238Acetyl CoA 1012Palmitate106129